Increased serum calcium is seen in all except -
1. Myxedema
2. Multiple myeloma
3. Primary hyperparathyroidism
4. Hyperthyroidism

Correct answer: 1. Myxedema